Which of the following is the most common site of lentigo maligna melanoma?
1. Face
2. legs
3. Trunks
4. Soles

Correct answer: 1. Face

Explanation: The lentigo maligna melanoma subtype comprises approximately 10% to 15% of all melanomas and usually begins as a pigmented macular lesion with variation in black and brown color. They are most common on the chronically sun-exposed areas of the head and neck, most often in older individuals. It is difficult to cure by superficial treatments and result in higher recurrence rates with standard surgical margins. Ref: Ludgate M.W., Wang T.S. (2009). Chapter 100. Skin Cancer. In J.B. Halter, J.G. Ouslander, M.E. Tinetti, S. Studenski, K.P. High, S. Asthana (Eds), Hazzard's Geriatric Medicine and Gerontology, 6e.